The acid base status of a patient reveals a pH = 7.46 and pCO2=30 mm Hg. The patient has a partially compensated metabolic complication of which of the following?
1. Metabolic acidosis
2. Metabolic alkalosis
3. Respiratory alkalosis
4. Respiratory acidosis

Correct answer: 3. Respiratory alkalosis

Explanation: For simple acid base disorders, diagnosis can be made from an analysis of pH, plasma bicarbonate concentration and Pco2. Check the pH Is the pH normal, acidic, or basic? Check the PCO2 High PCO2 indicates respiratory acidosis in the presence of a low pH Low PCO2 indicates respiratory alkalosis in the presence of a high pH High HCO3 indicates metabolic alkalosis in the presence of a high pH Low HCO3 indicates metabolic acidosis in the presence of a low pH Ref: Textbook of Medical Physiology, Guyton & Hall 10th/361.